Which of the following drug is given intranasally?
1. Desmopressin
2. Ribavarin
3. Amiloride
4. Oseltamivir

Correct answer: 1. Desmopressin

Explanation: Ans. is 'a' i.e., Desmopressin Drugs which can be given by intranasal route are :- Desmopressin Liposomes Butorphanol Zanamivir Calcitonin